Most common congenital cyanotic heart disease in child-
1. TOF
2. PDA
3. TA
4. TAPVC

Correct answer: 1. TOF

Explanation: Ans. is 'a' i.e., TOF Tetralogy of falloto Cyanotic heart disease (MC).o Defect in infundibular septum leads to :Pulmonary stenosis.VSD (Not ASD)Dextroposition and overriding of aorta.Right ventricular hypertrophy (NOT LVH).o Pink TOF (Acyanotic TOF) when PS is mild to moderate balanced shunt tnt across the VSD, pt not have cyanosis.